A client is receiving a platelet transfusion. The nurse determines that the client is gaining from this therapy if the client exhibits which of the following
1. Less frequent febrile episodes
2. Increased level of hematocrit
3. Less episodes of bleeding
4. Increased level of hemoglobin

Correct answer: 3. Less episodes of bleeding

Explanation: Options C: Platelet transfusions may be given to prevent bleeding when the platelet count falls down.
Options A: A decline in the febrile episode will happen after the transfusion of agranulocytes.
Options B and D: An increased level of hemoglobin and hematocrit will happen after the transfusion of red blood cells.